Material required for vital pulpotomy for pulp preservation:
1. Glutaraldehyde.
2. Ferricsulphate.
3. Ledermix.
4. All of the above.

Correct answer: 4. All of the above.